"Spider's leg" deformity in excretory urogram occurs, in:
1. Hydronephrosis
2. Polycystic kidney
3. Uretrocele
4. Renal agenesis

Correct answer: 2. Polycystic kidney

Explanation: (Polycystic kidney) (1308-Baily & Love 24th) (1287-88-B &L 25th)Congenial cvstic kidney (Poly cystic kidney) on extretory urogram. There is elongation and deformity of all major and minor calyces resulting in the characteristic {Spider leg or bell like deformity)* "Drooping flower" appearance seen in ectopic ureterocoele* "Cobra head" appearance seen in simple ureterocoele* "Wine-glass" appearance occurs in - congenital hydronephrosis